Histological features of classical hodgkin's disease -a) Mixed cellularity seen in the backgroundb) Neoplastic cells more than non-neoplastic cells.c) Both neoplastic & non-neoplastic cells are seend) CD15 & CD 34 seene) Reed sternberg cells are seen
1. acd
2. bde
3. ace
4. ade

Correct answer: 3. ace

Explanation: Distinct features of different types of Hodgkin lymphomas : -
Nodular sclerosis variant

It is the most common variant.
It is the only variant common in females.
Most patients are young adults.
Frequently involves mediastinum.
Lacunar cells are present on histology.
It has good prognosis → 2nd best after lymphocytic predominance.


Mixed cellularity variant

It is second most common variant.
Has biphasic incidence, peaking in young adults and again in adults older than 55.
More common in males.
Mononuclear variants of Reed-Sternberg cells are present.
Lymphocyte depletion Type
Least common type
Worst prognosis
There is paucity of lymphocytes.
Pleomorphic variants of RS cell are present.
Hodgkin cells (atypical histiocytes) are present.
Predominant in older patients, HIV - positive individuals, or patients in developing countries.
Most are EBV positive.
More common in males.
Lymphacytic Rich variant
Reactive lymphocytes make up the vast majority of the cellular infiltrate.
More common in males.
It has very good to excellent prognosis.
40% are EBV positive.
Lymphocyte predominance type
Best prognosis
Contains L & H (Popcorn cells) that are positive for CD 20.
Common in young males.
Follicular dendritic cells are seen.

The diagnosis of classical hodgkin lymphoma requires the presence of both the characteristic neoplastic Reed-Sternberg cells and the characteristic non-neoplastic cellular environment comprising of lymphocytes, histocytes, granulocytes, eosinophils and plasma cells.